During cardiac resuscitation, the follwing can occur except :
1. Rupture of Lungs
2. Rupture of liver
3. Rupture of Stomach
4. Disseminated intravascular coagulation occurs

Correct answer: 4. Disseminated intravascular coagulation occurs

Explanation: D i.e. Disseminated intravenous coagulation During CPR following may occur - Fracture rib, sternumQ or vertebrae - Rupture of lung, liver, spleen, stomachQ DIC is usually seen in massive trauma, burn & surgery.